Light microscope characteristic feature of Apoptosis is
1. Intact cell membrane
2. Eosinophilic cytoplasm
3. Nuclear moulding
4. Condensation of the nucleus

Correct answer: 4. Condensation of the nucleus

Explanation: Ref Robbins 9/e p14_15 ,26_27,9/e p53 The morphologic features characteristic of Apoptosis includes Cell srinkage: the cell is smaller in size having dense cytoplasm and the organelles are tightly packed. Chromatin condensation : This is the most characteristic feature of Apoptosis formation of cytoplasmic bleeds and apoptotic bodies